All of the following increases the risk of Digoxin toxicity except
1. Hypercalcemia
2. Renal failure
3. Hypomagnesimia
4. Hyperkalemia

Correct answer: 4. Hyperkalemia

Explanation: Hyperkalemia is the side effect of Digoxin but hypokalemia precipitates Digoxin toxicity.